A chi-sqaure test would be most appropriate for testing which one of the following hypotheses?
1. That the mean AIPGE score of Delhi students is greater than that of mumbai students
2. That a smaller proportion of poeple who were immunized against chicken pox subsequently develop zoster than those who were not immunized
3. That the mean blood pressure of black and white male-hypertensive patients taking ACE inhibitors is the same as that of black and white female-hypertensive patients taking ACE inhibitors and that of black and white males and females taking diuretics and placebos
4. That the mean cost of treating a patient with coronary artery disease with angioplasty isgreater than the mean cost of providing medicaltreatment

Correct answer: 2. That a smaller proportion of poeple who were immunized against chicken pox subsequently develop zoster than those who were not immunized

Explanation: Ans. is 'b' i.e., That a smaller proportion of poeple who were immunized against chicken pox subsequently develop zoster than those who were not immunized Chi-square test is for qualitative data, used when the observations are in proportions, fractions and percentage. Amongst the given options only option 'to' has observtions in proportion -3 requires non-parametric tests like chi-square test. Option a, c and d are for comparison of quantitative data (mean) --> Parametric test (most common student t-test) is required